Which of the following is not a second messenger
1. c-AMP
2. IP3
3. Guanylyl cyclase
4. Diacylglycerol (DAG

Correct answer: 3. Guanylyl cyclase

Explanation: Ans. c. Guanylyl cyclase